Prolonged blockade of Eustachian tube leads to ?
1. Atelectatic ear
2. Cholesteatoma
3. Perforation
4. All of the above

Correct answer: 4. All of the above

Explanation: Ans. is'd'i.e., All of the above[Rf Dhingra 6h/e p. 60)Acute tubal blockage - AbsorPtion of ME gases - Negative Pressure in ME - Retraction of TM - Transudate in ME/haemorrhage (acute OME) - Prolonged tubal blockage/dysfunction - OME (thin watery or mucoid discharge) - Atelectatic ear/Perforation - Retraction pocket/cholesteatoma